In which one of the following tissues is glucose transport into the cell unaffected by insulin?
1. Skeletal muscle
2. Liver
3. Adipose tissue
4. Smooth muscle

Correct answer: 2. Liver

Explanation: Glucose transport in muscle and adipose tissue is under the influence of insulin-sensitive glucose transporters. Although several metabolic pathways are influenced by insulin, glucose uptake into the liver is not affected by insulin.